A 10 year old boy was brought to the psychiatrist by parents with complaints of not following the rules of school, arguing with teachers and fellow students. The parents reports that he misbehaves with them too and at times tries to provoke them. What is the likely diagnosis-
1. Autism spectrum disorder
2. Oppositional defiant disorder
3. Conduct disorder
4. Attention deficit hyperactivity disorder

Correct answer: 2. Oppositional defiant disorder

Explanation: Oppositional defiance disorder (ODD) is defined as a recurrent pattern of negativistic, defiant, disobedient, and hostile behavior towards authority figures. It is one of the most common psychiatric disorders of childhood, and whilst a risk factor for the more serious conduct disorder, the majority do not progress to more serious psychopathology or psychopathy. Conduct disorder can be considered a more severe form of oppositional defiant disorder. The child also shows symptoms which are direct violation of rights of others and societal rules and norms are broken. Bullying or hitting other children. Stealing Putting things on fire. Cruelty towards animals Frequent lying Running away from the house